Medical sociology deals with -
1. Health
2. Health behaviour
3. Medical Institution
4. all of the above

Correct answer: 4. all of the above

Explanation: Medical sociology is a specialization within the field of sociology its main interest is in the study of health , health behaviour, and medical institutions ref ;(page no;670)23rd edition of PARK's textbook of Preventive and Social medicine